A young patient is diagnosed to have choriocarcinoma the treatment of choice is :
1. Hysterectomy
2. Chemotherapy
3. Chemotherapy followed by hysterectomy
4. Hysterectomy followed by chemotherapy

Correct answer: 2. Chemotherapy

Explanation: Chemotherapy